Which of the following mosquitoes is involved in the spread of Japanese encephalitis ?
1. Aedes
2. Anopheles
3. Culex
4. Mansonoides

Correct answer: 3. Culex